Emphysema aquosom is associated with?
1. Dry drowning
2. Wet drowning
3. Immersion syndrome
4. Secondary drowning

Correct answer: 2. Wet drowning

Explanation: Ans. is 'b' i.e. Wet drowning o There are two similarly looking terms, related to drowning : (i) emphysema aquosum and oedema aquosum.o Emphysema aquosum is seen in wet drowning. In this condition, the lungs are characterized by rupture of aleveolar spaces with accumulation of haemolysed blood with water and small amount of air. This condition results from violent respiratory efforts when the victim is submerged in conscious state.o Oedema aquosum is a condition of lung characterized by oedematous change due accumulation of some water in lung. This condition results due to passive enterance of water in the lungs when the victim is submerged in unconscious state having no violent effort for respiration. It is seen in submersion of unconscious.